Histiocytosis Xis seen in except-
1. Hand schuller Christian disease
2. Eosinophilic granuloma
3. Letter-siwe syndrome
4. Torres syndrome

Correct answer: 4. Torres syndrome

Explanation: Ans. is 'd' i.e., Torres syndromeLangerhans cell histiocytosis (Histiocytosis X) o Histiocytosis X is characterized by proliferation of Langerhans histiocytes (tissue macrophages). o It is Subdivided into three Categories:-(i) Letterer-siwe syndrome(ii) Hand-Schuller-Christian disease(iii) Eosinophilic granuloma.o Tumor cells in each are derived from dendritic cells and express S-100, CD la and HLA-DR.o The presence of Birbeck granules in the cytoplasm is characteristic.o Under electron microscope, Birbeck granules have a pentalaminar, rod like, tubular appearance and sometimes a dilated terminal end (tennis-rachet appearance).